False about Patterson-Kelly-Brown syndrome is?
1. Anemia
2. Esophageal webs
3. Glossitis
4. Risk factor for adenocarcinoma

Correct answer: 4. Risk factor for adenocarcinoma

Explanation: Ans. is 'd' i.e. Risk factor for adenocarcinoma * There is increased risk of squamous cell carcinomas (not adenocarcinoma) of the esophagus and pharynx.* Plummer-Vinson syndrome (PVS) (Paterson-Brown-Kelly syndrome or sideropenic dysphagia), is characterized by difficulty in swallowing, iron deficiency anemia,glossitis, chielosis, and esophageal webs.